The drug which inhibits the rate-limiting step of acetylcholine synthesis is
1. Vesamicol
2. Hemicholinium
3. Botulinum toxin
4. Cocaine

Correct answer: 2. Hemicholinium

Explanation: Rate limiting step is mediated by choline acetyltransferase which is blocked by hemicholinium. Ref: KD T ripathi 8th ed.